Quinolones are not effective in the treatment of
1. Mycobacteria
2. Treponema
3. Haemophilus
4. Salmonella

Correct answer: 2. Treponema